Denominator in specific death rate due to coronary artery disease ?
1. 1000 live birth
2. Mid year population
3. Total number of deaths in a community
4. Total number of case population in community

Correct answer: 2. Mid year population

Explanation: Ans. is 'b' i.e., Mid year population Crude death rate It is the simplest measure of mortality. It is defined as "the number of death (from all causes) per 1000 estimated mid-year population in one year, in a given place".